A patient Mohan, aged 60 yrs, needs an eye examination. He needs a drug which will dilate his eyes but not paralyse his cili Choose the drug:
1. Atropine
2. Phenylephrine
3. Cyclopentolate
4. Tropicamide

Correct answer: 2. Phenylephrine

Explanation: B i.e. Phenylephrine